A selective a1 blockers chemically distinct from prazosin used as an hypertensive agent
1. Trimazosin
2. Tamsulosin
3. Urapidil
4. Doxazosin

Correct answer: 3. Urapidil